All are true of the genetic code except ?
1. Degenerate
2. Universal
3. Punctuation
4. Non overlapping

Correct answer: 3. Punctuation

Explanation: C i.e. Punctuation